The pulse oximetry reading is affected in
1. Anemia
2. Jaundice
3. Red nail polish
4. Dark skin

Correct answer: 4. Dark skin

Explanation: Pulse oximetry values can be erroneous in dark skin. But in all other cases it is normal.